Cholesteatoma is commonly associated with?
1. Attico-antral CSOM
2. Tubotympanic CSOM
3. Tympanosclerosis
4. Foreign body in ear

Correct answer: 1. Attico-antral CSOM

Explanation: Cholesteatoma is commonly associated with the attico-antral type of CSOM. Attico-antral type of CSOM involves posterosuperior part of the cleft and is associated with an attic or marginal perforation. The disease is often associated with the bone-eroding processes such as cholesteatoma, granulations and osteitis. Ref: PL Dhingra 7th edition of Ear, Nose and Throat; Pg no 78